Which one of the following device provides fixed performance oxygen therapy:
1. Nasal Cannula
2. Venturi mask
3. O2 by T-piece
4. SO2

Correct answer: 2. Venturi mask

Explanation: B i.e. Ventimask Ventimask or venturimasks are high flow or fixed performance (performance not affected by changes in patient's tidal volume and respiratory rate) oxygen delivery devicesQ delivering accurate oxygen concentration